Treatment of Septal hematoma is?
1. Incision and drainage
2. Nasal packing
3. Antibiotics
4. Nasal decongestants

Correct answer: 1. Incision and drainage

Explanation: ANSWER: (A) Incision and drainageREF: Dhingra 4th ed p. 142 SEPTAL HEMATOMA:Etiology:Nasal traumaSeptal surgeryBleeding diasthesis Clinical features:b/1 nasal obstruction is the most common clinical featurefrontal headachepalpable soft, fluctuant mass Treatment:small hematomas: drainage via a wide bore needlelarge hematomas: incision and drainageantibiotics to prevent septal abscess